The superficial retinal hemorrhage is seen in which layer of retina:
1. Inner plexiform layer
2. Nerve fibre layer
3. Inner nuclear layer
4. Outer nuclear layer

Correct answer: 2. Nerve fibre layer

Explanation: Ans. B: Nerve fiber layer Flame-shaped hemorrhages (NFL hemorrhages) Located within the NFL Flame shape is the result of the structure of the NFL Typically located in the posterior pole Tend to resolve within a 6 weeks Associated with retinal vasculature pathology affecting the superficial and peripapillary capillary beds